Characteristics finding of schizoid personality is:
1. Emotional coldness
2. Conversion disorder
3. Not concerned with disease or anything
4. Check details of all things

Correct answer: 1. Emotional coldness

Explanation: Ans. is 'a' Emotional coldness Characterstics of Schizoid type of personality disordercan be best understood with help of an example * A 40 yr old scientist lives alone, has no contact with his family, does not have any friends. He has never engaged in any social activities. He prefers to work alone at home and cannot name any hobbies or activities that he finds enjoyable. He has limited capacity to express either warm tender feelings or anger (emotionally cold)Thus its a " Voluntary social withdrawal without psychosis"- Vignettes, behaviour sciences.A closely related type of personality disorder is avoidant personality disorder.Avoidant Personality disorderExample : A 23 yr old male complains of having too few friends and an unreasonable fear of new experiences, he tells that his shyness has frequently participating in social activities.The main difference b/w avoidant personality disorder and schizoid personality disorder is that schizoid individuals are happy being alone, whereas avoidant individuals are distressed by their loneliness.